During an operation if a pair of scissors is left in abdomen it is known as:
1. Petty's method
2. Res ipsa forcepalis
3. Res ipsa loquitor
4. Pharaoh's serpents

Correct answer: 3. Res ipsa loquitor

Explanation: Ans: cRef: Parikh, 6th ed, p. 1.43